Poor wound healing may be due to all of the following except -
1. Smoking
2. Excessive tension on sutures
3. Young age
4. Diabetes

Correct answer: 3. Young age

Explanation: Ans. is 'c' i.e., Young Age Factors that adversely affect wound healing Local o Abnormal blood supply (ischemia due to arterial disease or impaired venous drainage, e.g. arteriosclerosis, varicose veins) o Infection o Presence of foreign material, necrotic tissue or excessive blood (hematoma) o Movement in injured area o Tension in injured area o Irradiation (decreases the viability of cells) o Denervation o Smoking Systemic o Advanced age o Failure of collagen synthesis d/t # Vitamin C deficiency # Protein deficiency # Zinc deficiency # Ehlers-Danlos syndrome (disorder characterized by defective collagen formation, hyperextensible joints, fragile tissues and impaired wound healing) o Diabetes mellitus o Corticosteroid excess (administration of exogenous corticosteroids or Cushing's syndrome) o Malnutrition o Anemia o Obesity o Drugs (steroids, cytotoxic medication, intensive antibiotic therapy) o Genetic disorders (osteogenesis imperfecta, Ehler-Danlos syndrome, Marfan syndrome) o Systemic infection o Malignant disease o Temperature o Trauma, hypovolemia and hypoxia o Uremia o Bleeding disorder